The most important role of cholesterol is:
1. It is a component of cell membrane
2. It is a precursor of polyunsaturated fatty acids
3. It stores up energy
4. None of the above

Correct answer: 1. It is a component of cell membrane